The canal of Schlemm possesses the following anatomic characteristics except:
1. Contains red cells
2. Contains aqueous
3. Lined by endothelium
4. Contains partitions resembling the dural venous sinuses

Correct answer: 1. Contains red cells

Explanation: Ans. Contains red cells